TOF - include all except ?
1. Pulmonary stenosis
2. VSD
3. ASD
4. RVH

Correct answer: 3. ASD

Explanation: Ans. is 'c' i.e., ASD Tetrologv of 'allot Cyanotic heart disease (MC). Defect in infundibular septum leads to : Pulmonary stenosis. VSD (Not ASD) Dextroposition and overriding of aorta. Right ventricular hypertrophy (NOT LVH). Pink TOF (Acyanotic TOE) when PS is mild to moderate balanced shunt tnt across the VSD, pt not have cyanosis